Which energy molecule gives 10.5 kcal/ molecule?
1. ATP
2. GTP
3. Creatine phosphate
4. Glucose-6-phosphate

Correct answer: 3. Creatine phosphate

Explanation: Ans. is 'c' i.e., Creatine phosphate A compound that liberates 7 Kcal/mol or more on hydrolysis is called high energy compound, or a compound that on hydrolysis undergoes a large ( 7 kcal/mol) decrease in free energy (AG) under standard condition is called high energy compound, i.e., AG 7 Kcal/mol.For example, ATP liberates 7.3 Kcal/mol on hydrolysisMetaboliteA GLiberated energy in KcallmolePhosphoenol pyruvate-14.814.8Carbamoyl phosphate-12.312.31, 3-Bisphosphoglycerate-11-811.8Acid phosphate-112112Creatine phosphate-10.310.3Arginine phosphate-7.67.6ATP to ADP + Pi-7.37.3ATP to AMP + PPi-7-77.7Glucose-1 -phosphate-5.05.0Glucose-6-phosphate-3.33.3Glycerol-l-phosphate-2.22.2